Beta-blocker with intrinsic sympathomimetic activity?
1. Propranolol
2. Sotalol
3. Timolol
4. Pindolol

Correct answer: 4. Pindolol

Explanation: Ans. D. Pindolol. (Ref. KDT 6th/pg. 140; Table 10.2)- "Pindolol is nonselective b-blocker with intrinsic sympathomimetic activity."Beta blockersANonselective (b1 and b2) 1. Without intrinsic sympathomimetic activity :- Propranolol, - Sotalol, - Timolol. 2. With intrinsic sympathomimetic activity :- Pindolol 3 With additional a blocking property :- Labetalol, - CarvedilolB.Cardioselective (b1)- Metoprolol,- Atenolol, - Acebutolol, - Bisoprolol,- Esmolol, - Betaxolol, - CeliprololCSelective (b2)Butoxamine, ICI118551-Nadolol, Oxprenolol, alprenolol are nonselective b blockers;-Nabivolol is b1 selective blocker and-Bucindolol, medroxalol are b + a1 blockers not marketed in India.